Pseudomonas exotoxin inhibits protein synthesis by inhibiting -
1. RNA polymerase
2. EF-2
3. Transpeptidase
4. Reverse transcriptase

Correct answer: 2. EF-2

Explanation: Ans. is 'b' i.e., EF-2 o Exotoxin 'A* of P. aeruginosa inhibits protein synthesis through interference with adenosine diphosphate ribosylation of elongation factor - 2.Remembero Bacterial toxins inhibiting protein synthesis:#Exotoxin A of P. aeruginosa# Shiga toxin (Shigella)# Diphtheria toxin# Shiga like toxin or verocytotoxin of EHEC.